Central tendon of diaphragm develops from
1. Dorsal mesoesophagus
2. Septum transversum
3. Pleuroperitoneal membrane
4. Cervical myotomes

Correct answer: 2. Septum transversum

Explanation: Development of DiaphragmSeptum transversum: it is a mass of mesodermal tissue arising from the coelomic wall at the 4th week of gestation. It forms the central tendon of the diaphragm.Dorsal meso-esophagus forms the median portion of diaphragm and the crurae.Cervical myotomes (from C3-C5 somites) of lateral body wall form the peripheral parts of the diaphragm.Pleuro-peritoneal membranes.Chromosome 15q plays a major role in diaphragm developmentDuring the initial period of development, it lies at a higher level (cervical) and then migrates caudally and hence the nerve supply is from C3, C4, C5 (Phrenic nerve).Embryonic structuresAdult derivativesSeptum transversumCentral tendon of the diaphragmPleuroperitoneal membranesSmall peripheral part of the diaphragmDorsal mesentery of esophagusCrura of the diaphragmMesoderm of the body wallLarge peripheral parts of diaphragm external to parts derived from pleuroperitoneal membranes